All the following wastewater contains human excreta EXCEPT
1. Sewage
2. Sullage
3. Faeces
4. None

Correct answer: 2. Sullage

Explanation: Ans. b (Sullage). (Ref. Park, PSM, 22th/pg. 707)SULLAGEThe term "Sullage" is applied to waste water which does not contain human excreta. E.g. waste water from kitchen and bathrooms.SEWAGESewage is wastewater from community containing solid and liquid excreta, derived from houses, streets and yards, washing, factories and industries. It resembles dirt water with unpleasant smell. # The average amount of sewage, which flows through sewage system in 24 hours, is called "dry weather flow". # Composition of sewage is 99.9% water.# Strength of sewage is expressed in terms of BOD, COE, suspended solids.Also remember:# Average adult person excretes daily some 100 gm of faeces.# It is estimated that 1 gram of faeces may contain about 1,000 million of E. coli, 10-100 million of faecal streptococci, and 1-10 million spores of Cl. Perfringens besides several others.